Bad dreams are a rare adverse effect of which of the following drug?
1. Atenolol
2. Prazosin
3. Nifedipine
4. Furosemide

Correct answer: 1. Atenolol

Explanation: Erectile dysfunction, impotence, bad dreams and hallucinations can be seen with beta blockers REFERENCES: KDT 6th ed pg 135-140 Goodman Gillman 12th ed pg 280-285